Beta blockers are used in treatment of all except
1. Hypertension
2. Peripehral vascular disease
3. Angina
4. Migraine prophylaxis

Correct answer: 2. Peripehral vascular disease

Explanation: Ans: b (Peripehral vascular disease)Ref: KDT 6th ed. Pg.139, Katzung 10th ed.Beta blockers are contraindicated in PVD because of blockade of vasodilator beta 2 receptors.Non selective blocker b 1 + b2 + al (mnemonic- Crazy Bugs Die in Medicine Lab)Cardio selective beta blockers are:Beta blocker with intrinsicsympathomimetic activity Metoprolol CarvedilolBucindololDilevalolMedroxalolLabetololAtenololBisoprolol EsmololBetaxololCeliprololAcebutalolNebivololDilevalol AcebutalolCarteolol AlprenololPindolol LabetalolOxyprenololPenbutalol